Neurovascular bundle in axilla is surrounded by sheath derived from
1. Prevertebral fascia
2. Pretracheal fascia
3. Clavipectoral fascia
4. Axillary sheath

Correct answer: 1. Prevertebral fascia

Explanation: The neurovascular bundle in axilla is covered by axillary sheath which is derived from prevertebral fascia. Reference : BD chaurasia, 7th edition, page no 50-Fig.4.5 & page no 60-Facts to remember